An orphan population of 7-13 yrs age has been put on lacto vegetarian diet, which study it was?
1. Turku study
2. Hope wood house study
3. Vipeholm study
4. Tristan da cunha study

Correct answer: 2. Hope wood house study